Which is not an example of physiological apoptosis?
1. Organogenesis
2. Hormonal dependent apoptosis
3. Graft versus host disease
4. Selective death of lymphocytes

Correct answer: 3. Graft versus host disease

Explanation: Apoptosis in Biologic Processes:
Apoptosis is responsible for mediating cell death in a wide variety of physiologic and pathologic processes as under:
Physiologic Processes: 

Organised cell destruction in sculpting tissues during development of embryo.
Physiologic involution of cells in hormone-dependent tissues. E.g, endometrial shedding, regression of lactating breast after withdrawal of breast-feeding.
Normal cell destruction followed by replacement proliferation such as in intestinal epithelium.
Involution of the thymus in early age.

Pathologic Processes: 

Cell death in tumors exposed to chemotherapeutic agents.
Cell death by cytotoxic T cells in immune mechanisms such as in graft-versus-host disease and rejection reactions.
Progressive depletion of CD4+T cells in the pathogenesis of AIDS.
Cell death in viral infections e.g, the formation of Councilman bodies in viral hepatitis.
Pathologic atrophy of organs and tissues on withdrawal of stimuli e.g. prostatic atrophy after orchiectomy, atrophy of kidney or salivary gland on obstruction of ureter or ducts, respectively.
Cell death in response to injurious agents involved in causation of necrosis e.g. radiation, hypoxia and mild thermal injury.
In degenerative diseases of CNS e.g. in Alzheimer’s disease, Parkinson’s disease, and chronic infective dementias.
Heart diseases e.g. heart failure, acute myocardial infarction (20% necrosis and 80% apoptosis).

Harshmohan - Essential Pathology for Dental Students Ed 4th P: 40,41